"Wandering acetabulam" is seen in
1. Pyogenic arthritis
2. CHD
3. TB arthritis
4. Syphilitic arthritis

Correct answer: 3. TB arthritis

Explanation: Ans. c (TB arthritis). (Ref. Maheshwari, Orthopaedics, 2nd/pg. l80)# Wandering acetabulum is seen in TB arthritis of hip joint.WANDERING ACETABUL AM# After spine the hip is affected most commonly in TB. (MH 2009)# Usually it occurs in children & adolescent, but patients at any age can be affected.# Multiple cavitations is typical of tuberculosis such cavities are formed in the femoral head & the acetabulum.# Eventually the head or the acetabulum gets partially absorbed.# By the constant pull of the muscle acting on the hip the remaining head of the femur may dislocate from the acetabulum onto the ilium giving rise to the so called wandering acetabulum.# In later states the pus bursts through the capsules & spreads in the line of least resistance.# It may present as cold abscess in the groin or in the region of the greater trochanter.# The pus may also perforate acetabulum & appear as a pelvic abscess.# Diagnosis of tubercular arthritis is based on joint aspirate or biopsy. MRI can delineate disease extent within bone and soft tissues, especially spine.